Site of Kreb's cycle -
1. Cytoplasm
2. Mitochondria
3. Smooth Endoplasmic reticulum
4. Nucleus

Correct answer: 2. Mitochondria

Explanation: Ans. is 'b' i.e., Mitochondria* Kreb's cycle or citric acid cycle is the final oxidation pathway wherein all three fuels, carbohydrates, lipids and proteins get oxidised to form Carbondioxide.* It happens in mitochondria.